All are true about menisci of knee joint except -
1. Lateral meniscus covers more articular surface of tibia
2. Lateral meniscus is more mobile
3. Lateral meniscus is more prone to injury
4. Lateral meniscus is semicircular

Correct answer: 3. Lateral meniscus is more prone to injury

Explanation: Ans. is 'c' i.e., Lateral meniscus is more prone to injury Medial MeniscusLateral Meniscuso Semilunar in shape (Less circular)o Larger in diameter but narrower in bodyo Anterior horn is small while posterior horn is largeo Covers less tibial articular surface than lateral (Covers about 65 percent of tibial articular surface)o Entire periphery of the meniscus is attached to the joint capsuleo Is attached to the medial collateral ligamento Less mobile (due to firmer attachment with joint capsule and medial collateral ligament)o More prone to injury (due to reduced mobility) The medial meniscus is three to four times more prone to injury than the lateral meniscuso Semicircular in shape (C shaped; more circular)o Smaller in diameter but wider in bodyo Anterior horn and posterior horn are uniform in sizeo Covers more tibial articular surface than medial (Covers about 85 percent of tibial articular surface)o Entire periphery of meniscus is not attached to joint capsule (Area where the popliteus tendon crosses the joint through the popliteus hiatus is not attached)o Is not attached to the lateral collateral ligamento More mobile (due to gaps in attachment with joint capsule and lateral collateral ligament)o Less prone to injury (due to increased mobility)